All of the following statements about Trigeminal Neuralgia are true Except:
1. Most commonly involves Ophthalmic Division (V3) of Maxillary Nerve
2. Attacks most commonly occur during the day
3. Affects women more than men
4. More common on the Right Side

Correct answer: 1. Most commonly involves Ophthalmic Division (V3) of Maxillary Nerve

Explanation: Answer is A (Most commonly involves Ophthalmic Division (V3) of Maxillary Nerve): The most common division of the trigeminal nerve involved in trigeminal neuralgia is the Maxillary division (V2) followed by the mandibular division (V3). The maxillary division (V2) is the most common site ofpain either alone or in combination with the mandibular division (V3). The ophthalmic Division (VI) is rarely involved (<5%). Pain arising from the maxillary division is usually referred to the upper lip nose and cheek while the pain arising from the mandibular division is often referred to the lower lip. Features of Trigeminal Neuralgia The most common division of the trigeminal nerve involved in trigeminal neuralgia is the Maxillary division (V2) More common with advancing age More common in women More common on right side Attacks are most frequent during the day (but may awaken the patient at night)